Which of the following part is NOT included in hypopharynx-
1. Pyriform sinus
2. Post cricoid region
3. Anterior pharyngeal wall
4. Posterior pharyngeal wall

Correct answer: 3. Anterior pharyngeal wall

Explanation: Ans- C Anterior pharyngeal wall The pharynx is a fibromuscular tube lined by epithelium which extends from the base of skull superiorly to the level of 6th cervical vertebra inferiorly. At C6 level it becomes continuous with the esophagus. Anteriorly it communicates with the larynx, the mouth and the nasal cavities. Hence it is divided into laryngopharynx (Hypopharynx), oropharynx and nasopharynx. It is lined by stratified squamous epithelium except in the nasopharynx where columnar ciliated epithelium is found. Hypopharynx is the part of the pharynx which extends from the level of hyoid to the upper end of the esophagus. It lies opposite C3 to C6 vertebrae. Clinically it is subdivided into 3 regions viz. pyriform sinus or fossa, postcrpost-cricoidn, and posterior pharyngeal wall.